A 65yr old male with his of Diabetes and HTN presents Ito OPD with complaints of diplopia and squint on examination secondary deviation is seen to be more than primary deviation Which of the following is the most probable diagnosis
1. Paralytic squint
2. Incomitant squint
3. Restrictive squint
4. Pseudo squint

Correct answer: 1. Paralytic squint

Explanation: ref : ak khurana 7th ed